Which one of the following method is used for the estimation of the chlorine demand of water –
1. Chlorometer
2. Horrock's apparatus
3. Berkfeld filter
4. Double pot method

Correct answer: 2. Horrock's apparatus

Explanation: Chlorine demand of water can be estimated by Horrock's apparatus.
Chlorine demand of water is the amount of chlorine that is needed to destroy bacteria, and to oxidize all the organic matter and ammoniacal substances present in water.
It is the difference between the amount of chlorine added to the water, and the amount of residual chlorine remaining at the end of a specific period of contact (usually 1 hr), at a given temperature and pH of water.

Instrument

Horrock's Apparatus
Chlorinator/ Chloronome
Chloroscope

Utility

Chlorine demand estimation
Mixing or regulating dose of chlorine
Measuring residual level of chlorine


Berkefield filter is a type of ceramic filter which is used for purifying water on small scale.
The Double Pot Method provides a constant dose of chlorine to well water during periods of emergency.